Phocomelia is –
1. Absence of long bones
2. Absence of brain
3. Reduplication of bone
4. Absence of heart

Correct answer: 1. Absence of long bones

Explanation: Phocomelia'  

Is a term applied to a marked reduction in the size of limbs. The distal part of the limbs are placed very near the trunk (absent long bones).
Seen in foetuses of mothers who received thalidomide during pregnancy.